Which of the following muscle is responsible for facial expression during smiling?
1. Zygomaticus major
2. Levator labii superioris
3. Levator anguli oris
4. Procerus

Correct answer: 1. Zygomaticus major